Hepatitis B infectivity is indicated by
1. Anti-HBsAg
2. HBsAg + HBeAg
3. Anti-HBsAg - Anti-HBc
4. Anti-HBeAg + Anti-HBs Ag

Correct answer: 2. HBsAg + HBeAg